Fowl smelling ear discharge with presence of pale granulation tissue in ear in an adolescent boy is suggestive of ?
1. Cholesteatoma
2. Exostosis
3. Otomycosis
4. Malignant otitis externa

Correct answer: 1. Cholesteatoma

Explanation: Ans. is 'a' i.e., Cholesteatoma Fowl smelling ear discharge with presence of granulation tissue in earin adolescent boy is suggestive chronic suppurativeotits media of the unsafe type (atticoantral disease). Such patients have underlying cholesteatomaalongwith evidence of bone destruction. Clinical features of cholesteatoma/atticoantral CSOM Otorrhoea :- Scanty, foul smelling discharge due to bone destruction. Hearing loss :- Initially conductive due to destruction of ossicles. Later sensorineural element may be added, which results in mixed hearing loss. Bleeding :- May occur from granulation or the polyp when cleaning the ear. Tympanic membrane show posterior marginal or attic perforation. Also granulation tissue and polyps may be present in ear.